Inhalational form of Insulin is
1. Lispro
2. Afrezza
3. Humulin
4. Ultralente

Correct answer: 2. Afrezza

Explanation: Afrezza is the inhalational form of insulin used to treat post prandial hyperglycemia.